Acantholytic cell in pemphigus is derived from :
1. Stratum granulosum
2. Stratum basale
3. Stratum spinosum
4. Langerhan's cell

Correct answer: 3. Stratum spinosum

Explanation: C i.e. Stratum spinostunPemphigus (vulgarisQ, vegetans, foliaceus, erythematous, endemic, paraneoplasticQ) causes intra epidermalQ and PemphigoidQ (bullous, cicatricial, gestations, linear IgA disease) causes sub epidermal bullae formation(2. Blisters (vesicles, bullae or split) are intra epidermal in pemphigus and subepidermal in pemphigoid and dermatitis herpetiformisQ